Palmer's sign elicits :
1. Intermittent uterine contractions
2. Softening of cervix
3. Pulsations in fornix
4. Compressibility of isthmus

Correct answer: 1. Intermittent uterine contractions

Explanation: Intermittent uterine contractions